Most common cause of ectopic ACTH production
1. Renal cell carcinoma
2. Hepatocellular carcinoma
3. Small cell carcinoma lung
4. Pheochromacytoma

Correct answer: 3. Small cell carcinoma lung